Most common complications of Mumps is
1. Orchitis and Oophoritis
2. Encephalitis
3. Pneumonia
4. Myocarditis

Correct answer: 1. Orchitis and Oophoritis

Explanation: At least one-third of all mumps infections are subclinical, including the majority of infections in children younger than 2 years. The most characteristic feature of symptomatic cases is swelling of the salivary glands, which occurs in about 50% of patientsThe testes and ovaries may be affected, especially after puberty. Around 20-50% of men who are infected with mumps virus develop orchitis (often unilateral).Jawetz 27e pg: 589